GLP-1 analogue used in diabetes mellitus -
1. Exenatide
2. Pramalintide
3. Sitaglipin
4. Canagliflozin

Correct answer: 1. Exenatide

Explanation: Ans. is 'a' i.e., Exenatide ANTI-HYPERGLYCEMIC AGENTS | | |OralParenteral|| | ||||Release insulinOther mechanismInsulinGLP-analogsAmylin analogs| |||||||||| o Exenatideo Liraglutideo Pramlintide|| Sulfonyl ureasMeglitinides ||o Repaglinideo Nateglinide ||First generationo Chlorpropamide o TolbutamideSecond generationo Glipizideo Gliclazideo Glibenclamide ||||||BiguanidesThiazolidinedionesa-glucosidase inhibitorsD2 AgonistDPP-4 inhibitorSGLT-2 inhibitoro Metformino Pioglitazoneo Rosiglitazoneo Bromocriptineo Sitagliptino Vildagliptino Saxagliptino Alogliptino Dapagliflozino Canagliflozino Acarboseo Miglitol